Which bacteria will not cause food borne infection?
1. E. Coli
2. Salmonella
3. Campylobacter
4. Pseudomonas

Correct answer: 4. Pseudomonas